Which of the following complications is not seen with peritonitis -
1. Renal failure
2. Residual abscess
3. Endoxic shock
4. None

Correct answer: 4. None

Explanation: Ans. is 'None' Systemic complications of peritonitis Bacteraemic/endotoxic shock Bronchopneumonia/respiratory failure Renal failure Bone marrow suppression Multisystem failure Abdominal complications of peritonitis - Adhesional small bowel obstruction Paralytic ileus Residual or recurrent abscess Portal pyaemiafiiver abscess